Ifa Panchayat is dissolved, elections are to be held within?
1. 1 month
2. 3 months
3. 6 months
4. 1 year

Correct answer: 3. 6 months

Explanation: Ans. is 'c' i.e., 6 months